In Policythemia vera, all the following are seen except-
1. Thrombocytopenia
2. Increased GI bleed
3. Thrombosis
4. Transient visual loss

Correct answer: 1. Thrombocytopenia